A child presents with sepsis. Bacteria isolated showed beta-hemolysis on blood agar, resistance to bacitracin, and a positive CAMP test. The most probable organism causing infection is
1. Streptococcus pyogenes
2. Streptococcus agalacitae
3. Enterococcus
4. Streptococcus Pneumoniae

Correct answer: 2. Streptococcus agalacitae

Explanation: Streptococcus agalactiae is a beta-hemolytic and most common cause of neonatal infection. Two types of infection are caused: early onset and late onset, commonly early-onset type presents as meningitis or septicemia and is often fatal. Acquired from the maternal vagina during birth. Shows a positive CAMP test, demonstrated as an accentuated zone of hemolysis when streptococcus agalactiae is inoculated perpendicular to a streak of Staphylococcus aureus grown on blood agar. Reference: Textbook of Microbiology; Anathanarayan and paniker's; 10th edition; Page no: 218